Characterstic features of opioid withdrawal is:
1. Rhinorrhea and lacrimation
2. Seizures
3. Delirium Tremors
4. Transient visual, tactile or auditory hallucinations

Correct answer: 1. Rhinorrhea and lacrimation

Explanation: Opiod withdrawal symptoms are lacrimation,sweating, yawning, anxiety, apprehension, restlessness, rhinorrhoea and tremors seen 8-12 hours after the last dose. Ref KD Tripathi 8th ed.